Chromosome-type in the complete mole is-
1. XX
2. XXV'
3. XY
4. XO

Correct answer: 1. XX

Explanation: Ans-A i.e., XX Important features of complete and partial molesFeaturesComplete molePartial moleo Embryo/fetuso Absento Presento Hydrophic degeneration of villio Prominent & diffuseo Variable and focalo Trophobalstic hyperplesiao Diffuseo Focalo Uterine sizeo More than date (30-60%)o Less than dateo Theca lutein cysto Common (25-50%)o Uncommono Karyotypeo 46 XX (85%), paternal in origino Triploidy (90%), diploid (10%)o BetaHCGo High (>50,000)o Slight deviation (< 50,000)o Classic clinical symptomso Commono Rareo Risk of persistent GTDo 20%o <5%